Break up time (BUT) test is done in
1. Sjogren's syndrome
2. Multiple sclerosis
3. SLE
4. Myasthenia gravis

Correct answer: 1. Sjogren's syndrome